The sac contains only a portion of the circumference of the intestine
1. Richter's hernia
2. Littre's hernia
3. Spigelian hernia
4. Lumber hernia

Correct answer: 1. Richter's hernia